If interdental bone is apical to interradicular bone, it is
1. positive architecture
2. negative architecture
3. plateau
4. none

Correct answer: 2. negative architecture